Competitive inhibition is characterized by all the following, except
1. Inhibitor is a structural analogue of the substrate
2. Inhibitor binds to the active site
3. Increases Km value
4. Irreversible

Correct answer: 4. Irreversible

Explanation: A competitive inhibitor has no effect on Vmax but raises K'm, the apparent Km for the substrate. AND ITS REVERSIBLE. Inhibition is overcome by increasing the concentrations of the substrate.